Culture media for transport of stools in suspected case of shigellosis -
1. Deoxycholate medium
2. Blood agar
3. Nutrient broth
4. Buffered glycerol saline

Correct answer: 4. Buffered glycerol saline

Explanation: Ans. is 'd' i.e., Buffered glycorol salineStreptococcus pyogenes Pike's mediumNeisseriaStuart's medium, Amies mediumFor stool specimenBuffered glycerol saline, Carly-Blair, Stuart mediumSalmonella, ShigellaSach's buffered glycerol salineV choleraeVR medium, Cary-Blair medium, Autoclaved sea waterBordetellaModified Stuart's, Mischulow's charcol agar